Which drug has maximum propensity to cause peripheral neuropathy
1. Didanosine
2. Zidovudine
3. Stavudine
4. Lamivudine

Correct answer: 3. Stavudine

Explanation: "Peripheral neuropathy strongest association is seen stavudine and zalcitabine" Major dose limiting side effects of retroviral drugs 1. Didanosine - pancreatitis, neutropenia 2. Stavudine peripheral neuropathy, pancreatitis 3. Zidovudine bone marrow suppression 4. Lamivudine -- nil and least toxic 5. Zalcitabine - peripheral neuropathy, apthous ulcers 6. Abacavir - rash, fever 7. Saquinavir - headache, GI disturbance 8. Ritonavir - peripheral paresthesias 9. Indinavir - renal stones 10. Nelfinavir - diarrhea